Dilated endoplasmic reticulum is called
1. Asteroid bodies
2. Bamboo bodies
3. Hirano bodies
4. Dohle bodies

Correct answer: 4. Dohle bodies